Vonebners salivary gland’s duct open into which papilla
1. Circumvallate
2. Filiform
3. Fungiform
4. Foliate

Correct answer: 1. Circumvallate